An adult has a respiratory rate of 15/min, tidal volume is 400cc, anatomic dead space is 100C.
Respiratory minute volume is:
1. 4500cc
2. 4000cc
3. 6000cc
4. 3500cc

Correct answer: 3. 6000cc

Explanation: Respiratory minute volume is: Tidal volume × respiratory rate.